The "risk of a disease" is measured by the -
1. Prevalence rate
2. Incidence rate
3. Case fatality rate
4. Communicability rate

Correct answer: 2. Incidence rate

Explanation: Incidence rate measures population at risk. Reference:Park's textbook of preventive and social medicine,K.Park,23rd edition,page no:60.